In which of the following conditions Downey cells can be seen ?
1. Small lymphocytic Lymphoma
2. Acute myeloid leukemia
3. Infectious mononucleosis
4. Multiple myeloma

Correct answer: 3. Infectious mononucleosis

Explanation: Atypical lymphocytes also known as Downey cells after Hal Downey, who contributed to the characterization of it. These are lymphocytes that become large due to antigen stimulation. The nucleus could be elliptic, round, indented, cleft or folded and it may contain nucleolus ,with abundant cytoplasm which is basophilic Vacuoles and/or azurophilic granules can also be present. It is associated with EBV or CMV .